Which of the following is not a feature of SLE?
1. Recurrent abortion
2. Sterility
3. Comb's positive hemolytic anemia
4. Psychosis

Correct answer: 2. Sterility

Explanation: Sterility Exp. Clinical manifestations of SLE are as follows General Cutaneous Hematologic Neurologic Fatigue, malaise, fever, anorexia, weight loss Photosensitivity Molar rash Oral ulcers Alopecia Discoid rash Vasculitis rash Uocaroa Cutaneous lupus Anemia Leucopenia Lymphopenia Thrombocytopenia Lymphadenopathy Splenomegaly Hemolytic anemia Congnitive disorder Mood discorder Headache Seizures Mono-polyneuropathy stroke, TIA AC. Confusion state Movement disorder, Aseptic meningitis Myelopathy Musculoskeletal Gastrointestinal Cardiopulmonary Thrombosis Arthralgia/myalgia nonerosive poluahritis Hand deformities Myopathy/ myositis Ischemic necrosis of bone Nausea, diarrhea Vasci;otos Abnormal liver enzymes Pleurisy, effusions Myocarditis Endocarditis Pneumonitis Interstitial fibrosis Pulmonary hypertension Renal Proteinuria Nephritic syndrome End stage renal disease AR DS, hemorrhage, Shrinking lung syndrome Coronary heart disease Ocular Sicca syndrome Conjunctivitis Episcleritis Vasculitis syndrome "Psychosis can be dominant manifestation of SLE." "Most frequent hematologic manifestation of SLE is anemia, which is normaochromic normocytic, hemolytic, Coombs positive type." "Recurrent spontaneous abortions are seen." But sterility is not seen in SLE. Ref. Ref. Harrison's principles of internal Medicine, (17th ed.) pg. 2079,2076 table 313-1